Ectodermal dysplasia manifested as:
1. Hypohidrosis.
2. Hypotrichosis.
3. Hypodontia.
4. All of the above.

Correct answer: 4. All of the above.

Explanation: Ectodermal dysplasia is characterized by congenital dysplasia of ectodermal structures, manifested as hypohidrosis (partial or complete absence of sweat glands) hypotrichosis and hypodontia or partial anodontia.